A2 concentration in thalassemia trait is ?
1. 1
2. 1-2.5
3. 2.5-3.5
4. >3 .5

Correct answer: 4. >3 .5

Explanation: Ans. is 'd' i.e., > 3.5 T. Major Intermedia T. Minor J Genetics Homozygous Double Heterozygot es heterozygotes Hb F 30-90% (20-100%) 0-5% ) HbA2 < 3.5% <3.5% 3.6 -8%